Learning involves all except,
1. Modeling
2. Catharsis
3. Response prevention
4. Exposure

Correct answer: 2. Catharsis

Explanation: Catharsis Catharsis is another name of venting out ones emotions. It is used in psychotherapies for brining out the emotional content. It produces relief in the patient. Learning: Is change in behaviour as a result of practice. It involves: Modelling It is a type of observational learning. The person is exposed to model behaviour and is induced to copy it. This can also be used to avoid certain behaviour. Exposure and response prevention Patient refrains from carrying out rituals despite their strong urges to do so (response prevention) Urges are deliberately increased by encouraging the patient to enter situations that provoke rituals (exposure) Systemic desensitisation Based on reciprocal inhibitions. If a response incompatible with anxiety is made to occur at the same time as an anxiety provoking situations, then anxiety is reduced by reciprocal inhibitions. 3 main steps of systemic desensitization are - Relaxation training - Hierarchy construction - Systemic desensitisation proper